Food poisoning with incubation period of 1-6 hours is most probably caused by:
1. Streptococcus viridans
2. Staphylococcus aureus
3. Salmonella typhi
4. H. pylori

Correct answer: 2. Staphylococcus aureus

Explanation: Ans. B i.e. Staphylococus aureus